All of the following provide good support to the uterus, EXCEPT:
1. Pelvic floor
2. Transcervical ligament
3. Round ligament of the uterus
4. Uterosacral ligament

Correct answer: 3. Round ligament of the uterus

Explanation: C. i.e. Round ligament of uterus Broad ligament provide no (or very minimal) support to uterusQ and round ligament provide weak support to uterusQ